All are radioopaque except one -
1. Oxalate
2. Uric acid
3. Cystine
4. Mixed

Correct answer: 2. Uric acid